Which of the following category was given by Kingsley
1. Functional oral habits
2. Muscular habits
3. Combined ones
4. All of the above

Correct answer: 4. All of the above